Arrange the following in increasing order for risk of malignancy1.Fibroadenoma2.Sclerosing adenosis3.Atypical ductal hyperplasia4.Lobular carcinoma is situ
1. 2, 1, 3, 4
2. 1, 2, 3, 4
3. 1, 2, 4, 3
4. 2, 1, 4, 3

Correct answer: 2. 1, 2, 3, 4

Explanation: Lesion
Relative risk




Fibroadenoma
1%


Sclerosing adenosis
1.5-2%


Atypical ductal hyperplasia
4-5%


Atypical lobular hyperplasia
8-10%